Froments sign is seen in
1. Ulnar nerve palsy
2. Median nerve palsy
3. Anterior interosseous nerve palsy
4. Radial nerve palsy

Correct answer: 1. Ulnar nerve palsy

Explanation: Froments sign, or the book test tests the adductor pollicis muscle. When the patient is asked to grasp a book firmly between the thumbs and other fingers of both hands, the terminal phalanx of thumb on the paralysed side becomes flexed at the interphalangeal joint (by the flexor pollicis longus which is supplied by median nerve)